Pemphigus vulgaris, tzank smear shows
1. AcanthoIytic CellS
2. Fibroblasts
3. Macrophages
4. Neutrophils

Correct answer: 1. AcanthoIytic CellS

Explanation: tzank smear test: done in vesciculobullous disorders floor of a blister is scraped nd the material is spread on glass slide stained with giemsa stain. result 1.acantholytic cells- rounded cells with relatively large nucleus and peripherally condensed cytoplasm diagnostic of pemphigus vulgaris and foliaceous 2,balooning degeneration and multinucleated gaint cells seen in herpes simplex,herpes zoster and varicella. IADVL textbook of dermatology page 110